Fried Egg colony is seen in culture of -
1. Mycoplasma
2. Legionella
3. Trachoma
4. Hemophilus

Correct answer: 1. Mycoplasma

Explanation: Ans. is 'a' i.e., Mycoplasma Culture of Mycoplasma* May be cultivated in fluid or solid media.* Generally facultativeanaerobes,growthbeingbetteraerobically. But,sinceorganismsfromprimarytissuespecimens frequently grow under anaerobic conditions, an atmosphere of 95% N7 and 5% CO2 is preferred.* Mycoplasma and ureoplasma do not produce turbidity in liquid medium.* Grow in heart infusion peptone broth with 2% agar (pH 7.8) (P.P.L.O. broth) with fresh yeast extract and horse serum.* For enrichement, 30% human ascitic fluid or animal serum (horse, rabbit) are added to the medium. (Serum acts as a source of cholesterol).* Most mycoplasma colonies are hemolytic ($ - hemolysis) due to production of hydrogen peroxide.* The colony gives 'fried eggf appearance.* Colonies are best studied after staining by Dienes method.Remember* Dienes phenomenon is used to detect swarming of proteus.